SRY gene is located on -
1. Short arm of X chromosome
2. Long arm of X chromosome
3. Short arm of Y chromosome
4. Long arm of Y chromosome

Correct answer: 3. Short arm of Y chromosome

Explanation: Ans. is 'c' i.e., Short arm of Y chromosome o Y chromosome is necessary for development of Male :# The SRY gene present on the distal short arm of the Y chromosome is responsible for testicular development.